Drug that can cause hypertrophic pyloric stenosis is?
1. Teacyclin
2. Erythromycin
3. Ampicillin
4. Rifampicin

Correct answer: 2. Erythromycin

Explanation: o Maternal and infant use of erythromycin and other macrolide antibiotics have been reported as risk factors for infantile hypertrophic pyloric stenosis (IHPS). REF : katzung pharmacology : 14th ed